Indicator used in Horrock's apparatus produces which color in the presence of residual chlaine
1. Blue
2. Yellow
3. Green
4. Red

Correct answer: 1. Blue